IPC 314 deals with
1. Abandoing the child
2. Death of the patient caused by miscarriage
3. Causing miscarriage with consent
4. Death of the child during miscarriage

Correct answer: 2. Death of the patient caused by miscarriage

Explanation: Criminal Abortion Sec. 312 IPC: Whoever (including the pregnant women herself) voluntarily causes criminal abortion with the consent of the patient is liable for imprisonment upto 3 years and with/without fine, and if the woman is quick with child, then imprisonment may extend upto 7 years and fine. Sec. 313 IPC: If miscarriage is caused without the consent of the woman, whether the woman is quick or not, then the person is punished with life imprisonment or imprisonment upto 10 years and fine. Sec. 314 IPC: If pregnant woman dies from the act done with the intent to cause miscarriage, then imprisonment is upto 10 years and fine. If the act is done without the consent of the woman, then the person is punished with life imprisonment or upto 10 years and fine.